Dose of Rifampicin per month for adult multibacillary leprosy
1. 600 mg
2. 150 mg
3. 450 mg
4. 300 mg

Correct answer: 1. 600 mg

Explanation: Treatment of adult multibacillary leprosy Rifampicin 600mg once monthly, supervised Dapsone 100mg daily, self-administered Clofazimine 300mg once monthly supervised; and 50 mg daily, self-administered. Ref: PARK'S TEXTBOOK OF PREVENTIVE AND SOCIAL MEDICINE 23rd edition pg 323